Ovarian artery is a branch of-
1. Abdominal aorta
2. Renal artery
3. Superior mesenteric artery
4. Celiac trunk

Correct answer: 1. Abdominal aorta

Explanation: Ans. is 'a' i.e., Abdominal aorta * 'Ovarian artery is a branch of abdominal aorta'